A most common cause of delayed puberty in males is –
1. Kallaman syndrome
2. Klienfelter syndrome
3. Constitutional
4. Prader–willi syndrome

Correct answer: 3. Constitutional

Explanation: Most common cause of delayed puberty is constitutional.